Most common preventable cause of intellectual disability:-
1. Down's syndrome
2. Congenital hypothyroidism
3. Rett's syndrome
4. Fragile x syndrome

Correct answer: 2. Congenital hypothyroidism

Explanation: - Congenital hypothyroidism is the M.C preventable cause of intellectual disability - In India incidence is 1:1000 - Most common cause of congenital hypothyroidism is thyroid dysgenesis. - Most common cause of congenital hypothyroidism with goitre- Thyroid dyshormonogenesis.